An ectopic pregnancy is shed as
1. Decidua vera
2. Decidua basalis
3. Decidua capsularis
4. Decidua rubra

Correct answer: 1. Decidua vera

Explanation: The endometrial lining of the uterus is called decidua during pregnancy, If there is fertilization and pregnancy occurs, the decidua differentiated intoDecidua basalis - becomes the maternal portion of the placentaDecidua - capsularis - the thin layer covering the ovumDecidua vera or parietalis - which is the rest of the decidua lining the uterine cavity outside the site of implantation.